True about post-spinal headache are all except
1. Relieved by lying down
2. Frontal or occipital
3. Can prevented by using small bore needle
4. Old age is a risk factor

Correct answer: 4. Old age is a risk factor

Explanation: Post-spinal headache is due to seepage of CSF through the dural puncture site. It is irrespective of age and usually influenced by factors like gauge of the needle, hydration status of the patient, shape of the cutting edge